The mechanism of injury of transverse fracture of medial malleolus results due to -a) Abduction injuryb) Adduction injuryc) Rotation injuryd) Direct injury
1. a
2. bc
3. ad
4. ac

Correct answer: 4. ac

Explanation: Transverse fracture of medial malleolus occurs in Pronation-abduction and pronation-external rotation injury.